The artery, which runs along, the lower border of posterior belly of digastric is:
1. Lingual
2. Ascending pharyngeal
3. Occipital
4. Palatine

Correct answer: 3. Occipital